There are 20 amino acids with three codons in spite of the no of amino acids could be formed is 64 leading to that an amino acid is represented by more than one codon is called:
1. Transcription
2. Degeneracy
3. Mutation
4. Frameshift

Correct answer: 2. Degeneracy

Explanation: Ans. B. Degeneracy(Ref: Harper 31/e p395)Genetic Code--Salient features of Genetic CodeTriplet Codon: Each amino acid is represented by triplet sequence.Degenerate (Redundant)--More than 1 codon represent a single amino acid. Degeneracy of the codon lies in the 3rd Base.Nonoverlapping-- Reading of genetic code do not involve overlapping sequence.Unambiguous--A codon can represent only one amino acid.Universal--A specific codon represent a specific amino acid in all the species.Exception to this rule-Codons of Mitochondrial DNAInitiator codon#In eukaryotes--AUG codes for Met#In Prokaryotes--AUG codes for N-Formyl MethionineTerminator Codons#UAG--Amber#UGA--Opal#UAA--OchreWobbling PhenomenonThe base pairing at the 3rd nucleotide between the anticodon in the tRNA and Codon in the mRNA is not stringently regulated.